All of the following skin infections are caused by S aureus, EXCEPT:
1. Folliculitis
2. Furuncle
3. Cellulitis
4. Erysipelas

Correct answer: 4. Erysipelas

Explanation: Erysipelas is caused almost exclusively by Streptococcus pyogenes. It is characterized by abrupt onset of fiery red, swelling of face or extremities. It has well defined margins along the nasolabial fold, and has rapid progression with intense pain. It usually affects the face and legs. Bacterial infections and associated organisms: Infection Organism Folliculitis S. aureus, Pseudomonas aeruginosa Furuncle/Carbuncle S. aureus Abscess Polymicrobial , S. aureus in one quarter Erysipelas Streptococcus pyogenes Cellulitis S. aureus, Streptococcus pyogenes Ecthyma S. aureus, Streptococcus pyogenes Impetigo S. aureus, Streptococcus pyogenes Ref: Skin Infections: Diagnosis and Treatment edited by John C. Hall page 19.